H-reflex is useful in diagnosing:
1. L3 radiculopathy
2. L4 radiculopathy
3. L5 radiculopathy
4. S1 radiculopathy

Correct answer: 4. S1 radiculopathy

Explanation: Ans. d. S1 radiculopathy (Ref Harrison 19/e p442e-5, 18/e p45-46 (ebook)H-reflex is useful in diagnosing S1 radiculopathy.'The H-reflex is easily recorded only from the soleus muscle (S1) in normal adults. It is elicited by low-intensity stimulation of the tibial nerve and represents a monosynaptic reflex in which spindle (la) afferent fibers constitute the afferent arc and alpha motor axons the efferent pathway. The H-reflexes are often absent bilaterally in elderly patients or with polyneuropathies and may be lost unilaterally in S1 radiculopathies.' - Harrison 18/e p45-46 (ebook)H-Reflex StudiesThe H reflex is easily recorded only from the soleus muscle (S1) in normal adults.It is elicited by low-intensity stimulation of the tibial nerve and represents a monosynaptic reflex in which spindle (la) afferent fibers constitute the afferent arc and alpha motor axons the efferent pathway.The H reflexes are often absent bilaterally in elderly patients or with polyneuropathies and may be lost unilaterally in S1 radiculopathiesQ.